Commonest cause for grommet insertion-
1. Secretory otitis media
2. Otosclerosis
3. CSOM
4. Cholesteatoma

Correct answer: 1. Secretory otitis media